Ideal desk recommended for a school child is:
1. 'Plus' desk
2. 'Minus' desk
3. 'Zero' desk
4. None of the above

Correct answer: 2. 'Minus' desk

Explanation: Ans. B i.e. 'Minus' desk Based on the relationship between the desk and the chair, there are 3 types of desks Plus desk There is a gap between the edge of the desk the edge of the chair The disadvantage of this type of arrangement is that the student has to lean forward to write on the desk Zero desk The edge of the desk is at the same level as that of the chair Minus desk The edge of the chair goes inside the edge of the desk It is the recommended desk for use in schools Advantage - easy to write on the desk, maintenance of good posture Disadvantage - difficult to get up from the chair as the chair has to be pulled out before the student can stand